Common route of spread of puerperal sepsis
1. Lymphatic
2. Direct invasion
3. Skip lesion
4. Hematogenous

Correct answer: 2. Direct invasion

Explanation: Puerperal pyrexia – is defined as a rise of temperature reaching 100.4° F (38° C) or more (measured orally) on 2 separate occasions at 24 hours apart (excluding first 24 hours) within first 10 days following delivery.
Any infection of genital tract which occurs as a complication of delivery is called as Puerperal sepsis.
Most common site of Puerperal infection – Placental site. In vaginal delivery and uterine incision in cesarean section.
Most common manifestation of Puerperal infection – Endometritis.
Most common cause of Puerperal sepsis – Streptococcus.
Most common route of infection – Direct spread.
Single most significant risk factor for development of puerperal sepsis (uterine infection) = Route of delivery (It is M/C in cesarean delivery than vaginal delivery)
Mgt: Clindamycin + Gentamycin ± Ampicillin